Clinical features of H. influenzae is/are:
1. Most frequently by biotype-I of type B strain
2. Occur in children (<2 years of age) due to absence of PRP antibodies
3. Most common complication of its meningitis – subdural effusion
4. All of the above

Correct answer: 4. All of the above